Induction agent of choice in a child with cyanotic heart disease
1. Thiopentone
2. Ketamine
3. Halothane
4. Midazolam

Correct answer: 2. Ketamine

Explanation: In cyanotic heart disease (right to left shunt), systemic vascular resistance should be increased by anaesthetics - ketamine is the anaesthetic of choiceIn acyanotic heart disease (left to right shunt), systemic vascular resistance should be decreased - volatile anaesthetics (isoflurane, sevoflurane or desflurane) should be used.(Refer: stoelting's pharmacology and physiology in anaesthetic practice, 5th edition, pg no.294)